A 34 year old female comes to psychiatrist with complaints of ' always feeling worried'. She reports that she always feels anxious and irritable and that her sleep is worsening gradually. What is the likely diagnosis-
1. Agoraphobia
2. Generalised anxiety disorder
3. Major depression
4. Dysthymia

Correct answer: 2. Generalised anxiety disorder

Explanation: Generalized anxiety disorder (GAD) is characterized by excessive, uncontrolled, and irrational worry about everyday things that is out of proportion to the actual source of the worry. The worry impairs function, as the patient typically catastrophizes and becomes overly concerned with normal issues of health, money, work, and relationships.